Injury resembling endotracheal intubation injuries ?
1. Smothering
2. Hanging
3. Manual strangulation
4. None of the above

Correct answer: 3. Manual strangulation

Explanation: Ans. is 'c' i.e., Manual strangulation Artefacts introduced between death and autopsy due to introduction of artificial airway - endotracheal tube/ laryngoscope: Damage to mouth, lips, gums, palate, teeth, pharynx and larynx - especially in difficult, hurried, emergency situations. Injuries to the larynx, fracture of the hyoid and thyroid corneae - may be difficult to distinguish from manual strangulation.